Grey Turner sign is seen in:
1. A/c pancreatitis
2. C/c pancreatitis
3. A/c cholecystitis
4. A/c parotitis

Correct answer: 1. A/c pancreatitis

Explanation: Ans: a (A/c pancreatitis) Ref: Bailey & Love, 24th ed, p. 1123Grey Ttorner sign - Bleeding into fascial plane can produce bluish discoloration in flanksCullen sign - Bleeding into fascial plane can produce bluish discolouration around umbilicusNeither sign is pathognomonic of a/c pancreatitis. Both these signs indicate severe necrotizing pancreatitis.Investigations of pancreatitis:* Serum amylase four times increased* Plain abdominal radiographic findingsSentinal loop is formed by jejunum in acute pancreatitis - generalized or local ileusColon 'cut - off 'signRenal 'halo' signCalcified gall stones and pancreatic calcification - Non diagnostic signs* Pleural effusion is present in 20% of cases* Severe cases show features of a/c respiratory distress syndromeSpecific serum markers of a/c pancreatitis1. Serum lipase (single best enzyme)2. Pancreatic isoamylase3. TrypsinogenPrognostic criteria discussed above.